Inability to perform rapid alternating movement is -
1. Past-pointing
2. Dysdiadochokinesia
3. Dysmetria
4. None

Correct answer: 2. Dysdiadochokinesia

Explanation: Dysdiadochokinesia: Inability to perform rhythmic, rapidly alternating movements like pronation and supination.
Past-pointing (overshoot): Failure to stop a movement at an appropriate time.
Dysmetria: Errors in the range and force of movement, which may be due to past-pointing.